Selective medium for Naegleria fowleri is -
1. Nutrient aga rich with E. Coli
2. NNN media
3. Non-nutrient agar with E. Coli
4. Diamond media

Correct answer: 3. Non-nutrient agar with E. Coli

Explanation: Non nutrient agar spread with a lawn of washed E. coli or enter enterobacter aerogens is used for culture.CSF specimen is inoculated on this medium and incubated at 37 degree Celsius for overnight (refer pgno:26 baveja 3 rd edition)